Disease rate is
1. Risk of susceptibility
2. Prevalence rate
3. Time period in a calendar year
4. Disease occurrence in a specified time period

Correct answer: 4. Disease occurrence in a specified time period

Explanation: Attack rate (case rate or diesease rate):it is an incidence rateusually expressed in percentused only when population is exposed to risk for a limited period of time such as during an epidemicattack rate = (no. of new cases of a specified disease during a specified time interval / total population at risk during the same interval) x 100ref: Park's 23rd edition pg 61